Hunter's glossitis' is a features of:
1. Leukemia
2. Sickle cell anemia
3. Pernicious anemia
4. HIV infection

Correct answer: 3. Pernicious anemia

Explanation: Pernicious anemia is an autoimmune atrophic that causes a deficiency in vitamin B12 due to its malabsorption. Glossitis (Hunter's glossitis) - characterized by a slick or bald tongue, papillary atrophy, and burning sensation on contact with certain foods - is usually associated with pernicious anemia